GBS in a child treatment –
1. IV Ig
2. Ventilation
3. Plasmapharesis
4. All of above

Correct answer: 4. All of above

Explanation: Treatment of GB syndrome in children

It is self-limited in the majority of cases.
Intravenous immunoglobulin shows a good response.
Plasmapheresis: - Removal of autoantibodies.
Assisted ventilation: - It patient develops respiratory muscle paralysis.
Physiotherapy